Most common cause of nephrotic syndrome in children-
1. Membranous GN
2. Minimal change disease
3. PSGN
4. RPGN

Correct answer: 2. Minimal change disease

Explanation: Ans. is 'b' i.e., Minimal change disease Most common cause of Nephrotic syndromei) In adults-Membranous glomerulonephritisii) In children-Minimal change disease (lipoid nephrosis) Causes of Nephrotic syndromeI. Primary GlomerulonephritisV Malignancy1. Minimal change disease (most common in children)1. Carcinomas2. Membranous GN (most common in adults)2. Myeloma3. Membranoproliferative GN3. Hodgkin's disease4. Focal segmental glomerulosclerosisVI Pregnancy5. Focal GNToxaemia of pregnancy6. IgA nephropathyVII Circulatory DisturbancesII Systemic diseases1. Renal vein thrombosis1. Diabetes mellitus2. Constrictive pericarditis2. AmyloidosisVIII.Hereditary diseases3. SLE1. Alport's diseaseIII Systemic Infections2. Fabry's disease1. Viral infections (HBV, HCV, HIV)3. Nail-patella syndrome2. Bacterial infections (bacterial endocarditis, syphilis, leprosy) 3. Protozoa and parasites (P. falciparum malaria, filariasis) IV Hypersensitivity Reactions 1. Drugs (heavy metal compounds like gold and mercury, other drugs like penicillamine, trimethadione and tolbutamide, heroin addiction) 2. Bee stings, snake bite, poison ivy